Impacted wisdom teeth may produce referred pain :
1. Lingual nerve
2. Facial nerve
3. Branch of the Auriculotemporal nerve
4. None of the above

Correct answer: 3. Branch of the Auriculotemporal nerve

Explanation: Unerupted wisdom teeth, erupting teeth, and malocclusion can cause ear pain secondary to direct impingement of the Auriculotemporal nerveQ.